The normal adult CSF pressure is:
1. 1-2 mm Hg
2. 6-12 mm Hg
3. 15-30 mm Hg
4. 730 mm Hg

Correct answer: 2. 6-12 mm Hg

Explanation: B i.e. 6 - 12 mmHg